Posterior boundary of Carotid Triangle is formed by
1. Superior belly of omohyoid
2. Posterior belly of digastric
3. Sterno hyoid
4. Sternocleido mastoid

Correct answer: 4. Sternocleido mastoid

Explanation: Boundaries of carotid triangle IN FRONT & ABOVE- Post Belly of Digastric and Stylohyoid Muscle. IN FRONT & BELOW- Superior Belly of Omohyoid. BEHIND- Anterior Border of SternoCleidomastoid.